Nevirapine is
1. Nonnucleoside reverse transcriptase inhibitor (NNRTI)
2. Nucleoside reverse transcriptase inhibitor (NRTIs)
3. Protease inhibitor (PI)
4. Fusion inhibitor

Correct answer: 1. Nonnucleoside reverse transcriptase inhibitor (NNRTI)

Explanation: NRTIs are - Zidovudine, Lamivudine, Stavudine, Didanosine, Zalcitabine Emtricitabine, Abacavir, Tenofovir PIs are - Saquinavir, Indinavir, Ritonavir, Nelfinavir, Amprenavir, Lopinavir and Amprenavir Fusion inhibitor - Enfuvirtide Ref: HL Sharma 3rd edition anti retroviral drugs.